All of the following are risk factors for carcinoma gall bladder, EXCEPT -
1. Typhoid carriers
2. Adenomatous gall bladder polyps
3. Choledochal cysts
4. Oral contraceptives

Correct answer: 4. Oral contraceptives